Inferior angle of scapula is at the level of?
1. T4
2. T5
3. T6
4. T7

Correct answer: 4. T7

Explanation: ANSWER: (D) T7REF: Gray's Anatomy 30th edition page 819, Instant Anatomy by Robert H. Whitaker, Neil R. Borley 4th edition Page 199See APPENDIX- 9 below for "VERTEBRAL LEVELS"The scapula is a large, flat, triangular bone which lies on the posterolateral aspect of the chest wall, covering parts of the second to seventh ribs (also T7). It has costal and dorsal surfaces, superior, lateral and medial borders, inferior, superior and lateral angles, and three processes, the spine, its continuation the acromion and the coracoid process. APPENDIX - 9Vertebral Levels (Mnemonic: All Bifurcations (B 14-cation) are at The Level of 4)C4Hyoid bone; Bifurcation of common carotid artery.C5Thyroid cartilageC6Cricoid cartilageTrachea beginsOesophagus begins Pharynx and larynx endsC7Thoracic duct reaches its greatest height; Isthmus of thyroid glandT1Sternoclavicular joint; Highest point of apex of lung.T2Sternal notchJugular notchT4Sternal angle (of Louis)Junction of superior and inferior mediastinumAscending aorta endsArch of aorta begins and ends.Bifurcation of tracheaTSIVC hiatusT9Xiphisternal jointT10Oesophageal hiatusT12Aortic hiatusThoracic duct through diaphragmAzygos vein through diaphragmLIEnd of spinal cord in adults Transpyloric plane Pylorus of stomach Superior mesenteric artery originHilum of kidneys (renal artery-left is above and right is below)Celiac artery originates just above and renal arteries originate just below this line.L2Thoracic duct begins; Azygos and hemiazygos beginL3UmbilicusEnd of spinal cord in newborns Inferior mesenteric arteryL4Iliac crestAorta bifurcates into common iliac arteries.Inferior vena cava formed from common iliac veins.S1Sacral promontoryS2Posterior superior iliac spineEnd of dural sac (Dura, arachnoid, subarachnoid space, CSF)Middle of sacroiliac jointS3Posterior inferior iliac spineEnd of sigmoid colonRectum begins (important landmark in surgery of recto sigmoid carcinoma).